Which of the following facilitates entry of iron
1. Hepcidin
2. DMT-2
3. DMT-1
4. Ferroportin

Correct answer: 3. DMT-1

Explanation: Ref. API Textbook of Medicine. Pg. 1245